The administration of succinylcholine to a paraplegic patient led to appearance of dysarrythmias, conduction abnormalities and finally cardiac arrest. The most likely cause is :
1. Hypercalcemia
2. Hyperkalemia
3. Anaphylaxis
4. Hypermagnesemia

Correct answer: 2. Hyperkalemia